Which of the following disease has incubation period< 1week?
1. Cholera
2. Kala-azar
3. Filariasis
4. Measles

Correct answer: 1. Cholera

Explanation: Incubation period of cholera: 1-2 days. Incubation period of kala azar: 1-4 months. Incubation period of filariasis: 8-16 months. Incubation period of measles: 10-14 days.